Eosinophilic meningitis is seen with all except
1. Coccidiomycosis
2. Cryptococcal meningitis
3. Lepto meningeal metastasis
4. Helminthic infections

Correct answer: 2. Cryptococcal meningitis